DOTS is a community based treatment and care strategy for
1. Filaria
2. Leprosy
3. Tuberculosis
4. Malaria

Correct answer: 3. Tuberculosis